A 40 year old male patient complains of decayed tooth. Patient gives history of cavity preparation and restoration with mixture of spherical alloy particles and mercury done with 26. Intra-oral examination reveals proximal caries with 26. Which of the following is not the property of alloy particles used to restore the tooth in this patient?​
1. Packed efficiently
2. Requires less mercury
3. Decrease fluidity of the mixture
4. Less resistance to particle sliding​

Correct answer: 3. Decrease fluidity of the mixture

Explanation: It was demonstrated that​ by spherodizing the alloy particles, the particles​ packed more efficiently and required​ much less mercury to make a practical mixture. Spherical particles also increased the fluidity of the mixture by​ presenting less resistance to particle sliding. Using some​ or all spherical alloy particles, it is possible to reduce the​ mercury portion of the mixture to less than 50% by​ weight.​
Reference: Sturdevant’s Art and Science of Operative Dentistry, Mosby, 4th Edition, Page No: 149